The most potent topical corticosteroid is ?
1. Betamethasone valerate
2. Triamcinolone acetonide
3. Hydrocortisone acetate
4. Clobetasol propionate

Correct answer: 4. Clobetasol propionate

Explanation: Ans. is 'd' i.e., Clohetasol propionate